True about rigor mortis are all, except:
1. Seen immediately after death
2. It last 18-36 h in summer
3. It disappears in the sequence as it appears
4. It last 24-48 h in winter

Correct answer: 1. Seen immediately after death

Explanation: Ans. Seen immediately after death